Massive blood transfusion will cause all except:
1. Hypercalcemia
2. Hyperkalemia
3. Hypokalemia
4. Hypothermia

Correct answer: 1. Hypercalcemia

Explanation: Massive Blood Transfusion: Most commoncomplication: Hypothermia Fast massive Blood Transfusion: |K+ Slow massive Blood Transfusion: | K+ Citrate in Blood combine with Ca+2+ leading to Hypocalcemia rather than Hypercalcemia Citrate gets converted to Bicarbonate by liver leading to Metabolic Alkalosis (Most common electrolyte abnormality associated with massive Blood Transfusion).